Anti–Parkinsonism drug that is a selective COMT inhibitor :
1. Entacapone
2. Ropinirole
3. Pergolide
4. Pramipexole

Correct answer: 1. Entacapone